The drug of choice in mycoplasma pneumonia in children is -
1. Tetracycline
2. Streptomycin
3. Cotrimoxazole
4. Erythromycin

Correct answer: 4. Erythromycin

Explanation: Ans. is 'd' i.e., Erythromycin Treatment of pneumonia in children o For mildly ill patient (not require hospitalization) Emperical treatment Amoxicillin is the DOC. Atypical (mycoplasma) pneumonia --> macrolides (Azithromycin, Erythromycin). o For Hospitalized patients IV cefuroxime or cefotaxime or ceftriaxone. If clinical features suggest staphylococcal pneumonia, vancomycin or clindamycin are also added.